Jafferson's fracture is the fracture of-
1. Odontoid
2. C1
3. C2
4. C3

Correct answer: 2. C1

Explanation: *Jefferson's fracture is the most common type of fracture of atlas(1) Ref: Apley's 9th/e p.813,814